A 50 yr old lady came to OPD with the h/o post menopausal bleeding for 2 month, on vaginal examination a growth of 1 x 2 cm is found on anterior lip of cervix, normal uterine size, on rectal examination, rectal mucosa and parametrium are free. Punch biopsy of lesion established a diagnosis of Ca cervix. What would be the Management?
1. Conization
2. Type 1 Hysterectomy
3. Radical hysterectomy and Pelvic lymphadenectomy
4. Concurrent Chemoradiation

Correct answer: 3. Radical hysterectomy and Pelvic lymphadenectomy

Explanation: The patient has a clinically visible lesion measuring 2 cm without parametrial involvement. This is clinical stage IB2 of cervical cancer Treatment of Stage 1B2 is Radical Hysterectomy (Type 3) with Pelvic Lymphadenectomy Uterus, cervix, upper 1/3-1/2 vagina,entire parametria, uterine artery ligated at its origin from internal iliac artery, uterosacral ligament at most distal attachment (rectum) Simple extrafascial Hysterectomy (type I) is done only for stage 1A1 tumors without lymphovascular space invasion